The amino acid producing (a major source of) ammonia in the kidney is
1. Glutamine
2. Alanine, Aspartate
3. Methionine
4. Glycine

Correct answer: 1. Glutamine

Explanation: Formation and secretion ammonia by renal tubular cells maintain acid-base balance. Ammonia is formed from glutamine by glutaminase.